Dementia is/are pesent in all except:
1. Alzeimer's disease
2. Pick's disease
3. Lewy body
4. Ganser syndrome

Correct answer: 4. Ganser syndrome

Explanation: D i.e. Ganser syndrome